Parkinsonism is characterised by all of the following characteristic features except -
1. Rigidity
2. Akinesia
3. Tremors at rest
4. Past pointing

Correct answer: 4. Past pointing